Which of the following drugs is useful in anaphylactic shock:
1. Isoprenaline
2. Adrenaline
3. Non–adrenaline
4. Terbutaline

Correct answer: 2. Adrenaline